The alpha 2 agonist used in glaucoma is
1. Guanacare
2. Guanabenz
3. Brimonidine
4. Tizanidine

Correct answer: 3. Brimonidine

Explanation: Ref: KD Tripathi pharmacology 7th edition (page.no: 153) a2 agonist used for glaucoma is Brimonidine, Apraclonidine. Drugs used for glaucoma - b blocker; Timolol,Betaxolol PG analogue ; Latanoprost ,Bimatoprost Carbonic anhydrase inhibitors ; acetazolamide ,Dorzolamide Miotics; Pilocarpine